Axillary sheath is derived from?
1. Prevertebral fascia
2. Pretracheal fascid
3. Investing layer of deep cervical fascia
4. Deep fascia of throacic wall

Correct answer: 1. Prevertebral fascia

Explanation: Ans. is 'a' i.e., Prevertebral fascia The deep cervical fascia (fascia colli) has the following 6 layers: Investing layerLies deep to the platysmaForms a pulley to hold tendons of digastrics and omohyoidSplits to enclose the parotid and submandibular glands; the suprasternal and supraclavicular spaces;and the sternocleidomastoid and trapeziusPretracheal layerEncloses larynx, trachea, esophagus and infrahyoid strap musclesForms false capsule of the thyroid and the suspensory ligament of BerryPrevertebral fasciaForms axillary sheath around subclavian artery and brachial plexusSubclavian vein lies outside this sheathCarotid sheathEncloses the internal carotid artery, internal jugular vein and vagus nerve.Buccopharyngeal fasciaLies on the superficial aspect of the buccinators muscle and covers the superior constrictor muscle externallyPharyngobasilar fasciaLies deep to the pharyngeal muscles.